Deformity in anterior dislocation of hip is
1. Ext. rotation, abduction, flexion
2. Ext. rotation, adduction, flexion
3. Int. rotation, abduction, flexion
4. Int. rotation, adduction , flexion

Correct answer: 1. Ext. rotation, abduction, flexion

Explanation: Ans. is 'a' i.e., Ext. rotation, abduction, flexion Anterior dislocation of hip Anterior dislocation of the hip is much less common than posterior dislocation. Indeed, it is a very uncommon injury. It is caused by forced abduction and lateral (external) rotation of hip, usually in a violent injury such as a motor accident on aircraft crash. Clinically, the limb is in marked external (lateral) rotation, flexion and abduction There may be apparent lengthening due to abduction deformity. Closed reduction under anaesthesia is the treatment of choice. Complications are avascular necrosis, and secondary osteoarthritis.